Where are the deposits found in IgA Nephropathy?
1. Subepithelial
2. Subendocardial
3. Mesangium
4. No deposists

Correct answer: 3. Mesangium

Explanation: Ans. is 'c' i.e., Mesangium